Incubation period of scabies is –
1. 7 days
2. 2 weeks
3. 4 weeks
4. 2–3 days

Correct answer: 3. 4 weeks

Explanation: Itching occurs due to hypersensitivity to saliva scabin of mite, and it takes 4-6 weeks are required for the hypersensitivity to develop. So, incubation period of scabies is 4-6 weeks.